Boundaries of upper triangular space include all except
1. Teres minor
2. Teres major
3. Subscapularis
4. Triceps

Correct answer: 3. Subscapularis

Explanation: Boundaries of upper triangular space is formed by : Superior- Inferior border of teres minor Lateral- Medial border of the long head of triceps brachii Inferior- Superior border of teres major REF: BD Chaurasia 7th edition Page no: 75. Figure :5.14,page no:69-Textbook of anatomy- upper limb & thorax - vishram Singh, 2nd edition